Structure passing deep to flexor retinaculum is -
1. Post tibial artery
2. Long saphenous vein
3. Tibialis anterior tendon
4. Peroneus tertius

Correct answer: 1. Post tibial artery

Explanation: From medial to lateral, structures passing under flexor retinaculum
-        Tibialis posterior
-        Flexor digitorum longus
-        Posterior tibial vessels
-        Tibial nerve
-        Flexor hallucis longus